A post term neonate is defined as a neonate born after ------- weeks of gestation:
1. 38
2. 40
3. 42
4. 44

Correct answer: 3. 42

Explanation: Ans. C. 42* A baby is said to be born at term if he is born between 37 and < 42 weeks of gestation (259 - 293 days)* A neonate born before 37 weeks (<259 days) of gestation irrespective of the birth weight is a preterm neonate* A neonate born at a gestation age of 42 weeks or more (294 days or more) is a post term neonate